Shelf life of platelets in blood bank is -
1. 5 days
2. 7 days
3. 10 days
4. 21 days

Correct answer: 1. 5 days

Explanation: Ans. is 'a' i.e., 5 days o Platelets are approved by FDA for storage up to 5 days at 20-24 (Room Temperature) because of risk of bacterial contamination.o The shelf life of platelets stored at room temperatures is five days because of the bacterial infection risk that increases in relationship to the storage duration.Blood component storage summaryProductDescriptionStorage degCExpirationWhole blood Red cellsAll components of donor blood plus anticoagulantCPD, CPDA-1 whole blood with 200-250 plasma removed; final volume-300 ml,Hct < 80%As : with most plasma removed And 100 ml additive soln. added;Final volume - 350 ml Hct 55-65%2-6 ml 2-6CPD - 21 daysCPDA-1-35 daysClosed system - see whole bloodOpen system - 24 hr.AS additive - 42 daysRed cells -LeucocytesReducedR.C. modified by centrifugation removing buffy coat or filtration to remove > 70% leucocytes while retaining > 70% of original R.C.2-6Closed system - see whole blood/red cellsOpen system - 24 hr.Red cells washedR.C. washed with normal saline2-624 hrRed cellsFrozen-DeglycerolR.C. frozen with glycerolFrozen at- 65 (high glycerol)- 120 (low glycerol)Deglycerolized-at 2-610 yr3 yr24 hrPlatelets>5[?]5 x 1010 in 40-70 ml plasma20-24 with agitation3 or 5 days depending on storage bag4 hr after poolingPlatelets, pheresis>3[?]0 x 10" in about 200 ml plasma20 - 24 with agitation5 daysGranulocytesAbout 1 x 1010 in 200-250 ml plasma20 - 24 without agitation24 hrsFFP200-250 ml with anticoagulantFrozen -18 or below Thawed 2-61 yr12 hrPlasma200-250 ml with anticoagulant Liquid plasmaFrozen -18 or belowThawed 2-65 yr5 days after whole blood expirationCryoprecipitatedAHF80-120 units factor VIII40-70% von Willebrand factorFrozen < -18Thawed 2-6After pooling1 yr6 hr4 hr